Wheat germ oil is rich in vitamin?
1. A
2. D
3. E
4. K

Correct answer: 3. E

Explanation: Ans: c (Vitamin E)Wheat germ oil is extracted from the germ of the wheat kernel and is particularly high in octacosanol - a 28 carbon long-chain saturated primary alcohol found in a number of different vegetable waxes. Wheat germ oil is also very high in vitamin E and has the highest content of vitamin E of any food that has not undergone prior preparation or vitamin fortification. As cooking oil, wheat germ oil is strongly flavoured, expensive and easily perishable.